A 35 year old male cannot adduct his left eye while looking to the right. The lesion is in -
1. Abducens
2. Oculomotor nerve
3. Trochlear nerve
4. Trigeminal Nerve

Correct answer: 2. Oculomotor nerve

Explanation: Ans. is 'b' i.e. Oculomotor nerve Features of 3rd (occulomotor) nerve palsyo Paralysis of superior rectus, inferior rectus, medial rectus and inferior oblique. Eye is down and out due to unopposed action of superior oblique and lateral rectus. Medial & upward gaze is not possibleo Paralysis of sphinctor pupillae - Loss of ipsilateral direct and consensual pupillary light reflex and there is mydriasiso Paralysis of ciliary muscle - Paralysis of accommodationo Two extraocular muscles are sparedi) Superior oblique Intorsion, abduction and depression remain active.ii) Lateral rectus Abduction remains active. So eye is deviated lateraly.o Paralysis of levator palpabrae superioris - Ptosis.